Ideal site for myringotomy and grommet insertion
1. Anterior superior aquadrant
2. Anterior inferior quadrant
3. Posterior superior
4. Posterior inferior

Correct answer: 2. Anterior inferior quadrant

Explanation: Ans-Banteroinferior quadrantExplanationa. As.discussed- Ideal site for incision in ASOM is posteroinferior quadrantb. For serious otitis media/Grommet insertion, idea! the site is anterior inferior quadrant (though Dhingra says it can be posterior inferior also) as is proven by the following lines from Scotts brown:c. The site of insertion of the grommetd. "Insertion of the ventilation tube posterosuperiorly is not recommended because of the potential for damaging the ossicular chain. It makes no difference to the extrusion rate as to whether the tube is inserted through a radial or circumferential incision and whether sited anterosuperiorly rather than Antero-inferiorly.e. Placement Antero-inferiorly compared with placement posteroinferiorly lengthens the time a ventilation tube is in situ. To maximize the duration of potential tube function, the preferred insertion site is anteroinferior through a circumferential or radial incision. Ref. Scott Brown